An 8yr old child presents with acute abdomen. What is the investigation of choice?
1. USG
2. CT Scan
3. X-ray
4. MRI

Correct answer: 1. USG

Explanation: Ans. is 'a' i.e., USG * In young children, medical etiologies are the most common, especially acute gastroenteritis.* In children more than 2 years of age, appendicitis is the most common cause of acute abdominal pain and emergency surgery.* Radiologic InvestigationsA) Ultrasound# Ultrasound is usually utilized for diagnostic accuracy in the evaluation of acute appendicitis and has demonstrated >90% sensitivity and specificity.# USG is the initial investigation of choice.B) CT Scan# CT scan had been the gold standard imaging study for evaluating children with suspected appendicitis, but carries the significant negative effects of radiation exposure and increased costs.C) MRI/White Blood Cell Scan# MRI is at least equivalent to CT in diagnostic accuracy for appendicitis and does not involve ionizing radiation.